The disease associated with hepatitis C virus -
1. Leprosy
2. Lichen planus
3. Psoriasis
4. Vitiligo

Correct answer: 2. Lichen planus